A. patient on enteral nutrition develops diarrhea. Which of the following statements is/are true   a) Diarrhea seen in > 30% cases  b) More in duodenal nutrition than jejunal nutrition  c) MC cause is contamination of food  d) In persistent diarrhea clostridium difficile should be excluded
1. ad
2. ab
3. ac
4. bd

Correct answer: 1. ad